Which of the following metabolite of Atracurium is responsible for seizures?
1. Cis - atracurium
2. FK - 506
3. Laudanosine
4. Gallamine

Correct answer: 3. Laudanosine

Explanation: Laudanosine is the metabolite of Atracurium that causes seizures. Cis - atracurium produces less laudanosine & hence has lesser risk of seizures.